The subtype of hodgkin lymphoma characterized by L and H cells
1. Nodular sclerosis
2. Mixed cellularity
3. Lymphocyte depletion
4. Lymphocyte predominance

Correct answer: 4. Lymphocyte predominance

Explanation: L and H cells are seen in lymphocyte predominane type of Hodgkin's disease. It is also known as polyploid type or popcorn type RS (reed -sternberg) cells This type of RS cells is larger with lobulated nucleus in the shape of popcorn Reference: textbook of Pathology 6th edition Author Harsha Mohan page number 369